A new systolic murmur after Acute myocardial infarction may be due to all of the following Except:
1. Complete heart block
2. Rupture of Interventricular septum
3. Papillary muscle dysfunction
4. Ischemic cardiomyopathy

Correct answer: 1. Complete heart block

Explanation: Answer is A (Complete heart block) Complete heart block iv not a cause for new onset systolic murmur after Acute _Myocardial Infarction. Cause of new systolic murmur after Acute Myocardial infarction Papillary muscle dysfunction/rupture (causing severe mitral regurgitation) Rupture of interventricular septum Right ventricular infarction and tricuspid regurgitation Free wall rupture Left ventricular outflow tract obstruction Note: Ischemic cardiomyopathy is defined as dilated cardiomyopathy in a subject with history of MI. This may lead to papillary muscle dysfunction and hence produce a new onset systolic murmur.